Deficiency in globin synthesis
1. Thalassemia
2. Sickle cell disease
3. Hereditary spherocytosis
4. None of these

Correct answer: 1. Thalassemia

Explanation: Ans. is 'a' i.e., ThalassemiaThalassemia Syndromes :?The thalassemia syndromes are a heterogeneous group of disorders caused by inherited mutations that decrease the synthesis of either the a-globin or (3-globin chains that compose adult hemoglobin, HbA (a2(32), leading to anemia, tissue hypoxia, and red cell hemolysis related to the imbalance in globin chain synthesis.